All are complications of hydatid cyst in the liver except-
1. Jaundice
2. Suppuration
3. Cirrhosis
4. Rupture

Correct answer: 3. Cirrhosis